Which of following is not a feature in diabetic retinopathy on fundus examination –
1. Microaneurysms
2. Retinal hemorrhages
3. Arteriolar dilatation
4. Neovascularisation

Correct answer: 3. Arteriolar dilatation